Zavenelli's manoeuver done in:
1. Shoulder dystocia
2. Deep transverse arrest
3. Retained placenta
4. Face presentation

Correct answer: 1. Shoulder dystocia

Explanation: Entrapment of aftercoming head This complication is usually seen with preterm delivery as the incompletely dilated cervix constricts aruond the neck .Duhurssen's incisions can be placed over the cervix avoiding the 3 and 9 o&;clock positions .other alternatives are intravenous nitroglycerin for cervical dilatation.General an anaesthesia followed by breech extraction is another option.As a last resort replacement of fetus high into the vagina and uterus followed by Caesarean section can be attended (Zavanelli manoeuvre).Another option with those who have experience of the same is symphysiotomy to widen the anterior pelvis (refer sheila textbook of obstetrics pgno:381 2 nd edition)